What is the Size of this blade used in incision and Drainage
1. 11 size
2. 13 size
3. 15 size
4. 22 size

Correct answer: 1. 11 size

Explanation: There are 3 blades commonly used by Surgeons: - * 11' size- For Incision and Drainage of Abscess, Aeriotomy * 15' Size- For precise cosmetic incisions * 22' Size- For Long Incisions and Laparotomy Incisions Ref:- Surgery Sixer 3rd Edition; Pg num:- 39